Rabies vaccine Pre exposure prophylaxis schedule is:
1. 0,3,7
2. 0,7,28
3. 0,3,7,28
4. 0,3,7,21,28

Correct answer: 2. 0,7,28

Explanation: 0,7,28